Infection in renal transplant patient is usually caused by -
1. CMV
2. HIV
3. Herpes
4. Salmonella

Correct answer: 1. CMV